Naegler's reaction is shown by ?
1. Clostradium tetani
2. Clostridium welchii
3. Mycobacterium tuberculosis
4. Mycobacterium leprae

Correct answer: 2. Clostridium welchii

Explanation: Ans. is 'b' i.e., Clostridium welchii